Fetal hydantoin syndrome is seen if following drug is used in pregnancy?
1. Phenytoin
2. Alcohol
3. Ethosuximide
4. Phenobarbiton

Correct answer: 1. Phenytoin

Explanation: Used during pregnancy---<:an produce foetal i-!ydantoin syndrome (hypoplastic phalano;es, cleft palate, hare lip, microcephaly), oshich is probably caused by its areneoxide metabolite REF KD TRIPATHI 8thh ed.